Least likely associated with SLE -
1. Anti ds DNA
2. Anti Sm
3. Anti topoisomerase
4. Anti histone

Correct answer: 3. Anti topoisomerase

Explanation: Ans. is 'c' i.e., Anti topoisomerase Best screening test for SLE is demonstration of antinuclear antibodies :o Most sensitive test for SLE- Anti nuclear antibodies (ANA).o Most specific test for SLE- Anti ds DNA, Anti Sm.